Hydrocephalus is detailed best antenatally by –
1. X-ray abdomen
2. Amniocentesis
3. Clinical examination
4. Ultrasonography

Correct answer: 4. Ultrasonography

Explanation: The best method for diagnosis of hydrocephalus prenatally is ultrasound.
On ultrasound, the excess uid is rejected by ventriculomegaly